Drug of choice for brucellosis:
1. Chloramphenicol
2. Erythromycin
3. Doxycycline
4. Cefuroxime

Correct answer: 3. Doxycycline

Explanation: Ref: Sharma & Sharma 3rd ed. P 760 H* Doxycycline is from the tetracycline class of drug.* Tetracyclins are first line DOC in following conditions like# Rocky mountain spotted fever# Typhus fever# Psittacosis# Granuloma inguinale# Non-specific urethritis (ureaplasma urealyticum)# Lyme disease# Brucellosis (Brucella abortus)# Plague# Pasturella abscess * First line combination therapy for brucellosis is: Doxycycline and Rifampicin